ASHA stands for -
1. Associate social health activist
2. Accredited social health activist
3. Advanced social health activist
4. Assistant social health activist

Correct answer: 2. Accredited social health activist

Explanation: Ans. is 'b' i.e., Accredited social health activist o ASHA stands for Accredited social health activist.